Low CSF protein may be seen in all of the following conditions, except:
1. Recurrent Lumbar Puncture
2. Hypothyroidism
3. Pseudotumor cerebri
4. Infants

Correct answer: 2. Hypothyroidism

Explanation: Hypothyroidism is associated with increased protein concentration sometimes >100. Ref: Infections of the Central Nervous System By W. Michael Scheld, Richard J. Whitley, Christina M. Marra, Page 16; Essential Neuroscience By Allan Siegel, Hreday N. Sapru, Page 41; Critical Care Nursing Practice Guide : A Road Map for Students and New Graduates By Elizabeth Simon, Page 96, 97; Clinical Adult Neurology By Jody Corey-Bloom, Page 420.